All of the following cancers commonly metastasize to the liver Except
1. Breast
2. Prostate
3. Colon
4. Pancreas

Correct answer: 2. Prostate

Explanation: Secondaries in the liver are common malignant tumours * In bone * In liver * In brain Causes can be -Abdominal: Carcinoma in stomach, colon, pancreas, small bowel, kidney, abdominal oesophagus, rectum, carcinoids. -Extra-abdominal: * Melanoma. * Carcinoma breast, lung, thoracic oesophagus, bladder, prostate. *Testicular and adrenal tumours. * Follicular carcinoma thyroid (FCT). Commonly secondaries in the liver are multiple, multiple in one lobe or in both lobes. It can be solitary (rare). ref: SRB'S manual of surgery, ed 3, pg no 543